Commonest cause of brain abscess -
1. CSOM
2. Pyogenic meningitis
3. Trauma
4. Chr. sinusitis

Correct answer: 1. CSOM